Which one of the following diseases has lowest incubation period
1. Small pox
2. Diphtheria
3. Cholera
4. Dengue

Correct answer: 3. Cholera

Explanation: Small pox - 7-14 days
Diphtheria - 2-6 days
Cholera - 1-2 days
Dengue - 3-10 days.